What is the most common organism causing cerebrospinal fluid shunt related infections
1. Streptococcus agalactiae
2. E. coli
3. Coagulase Negative Staphylococcus aureus
4. Enterococccus

Correct answer: 3. Coagulase Negative Staphylococcus aureus

Explanation: Coagulase Negative Staphylococcus aureus colonize the skin and hence cause CSF shunt related infections.